Antiparkinson drug known to cause cardiac valvular fibrosis is:
1. Levodopa
2. Ropinirole
3. Pramipexole
4. Pergolide

Correct answer: 4. Pergolide